Localised shrinkage porosity increases by
1. Increase in sprue length
2. Increase in sprue diameter
3. Increase in mold temperature
4. Increase in melt temperature

Correct answer: 1. Increase in sprue length